Which of the following investigation is not needed during evaluation following 1st episode of urinary tract infection on a 7 month old boy?
1. DMSA scan
2. Ultrasound of kidney and urinary tract
3. DTPA scan
4. Micturating cystourethogram (MCU)

Correct answer: 3. DTPA scan

Explanation: Evaluation following the first episode of urinary tract infection: Age < 1 yr --> USG, MCU, DMSA scan Age 1-5 yr --> USG, DMSA scan (if USG or DMSA scan is abnormal --> MCU) Age > 5 yr --> USG (if USG abnormal --> MCU & DMSA scan)